MRFIT clinical trial for CHD was conducted in which country?
1. USA
2. Finland
3. Norway
4. UK

Correct answer: 1. USA

Explanation: - The Multiple Risk Factor Intervention Trial (MRFIT) was one of the coronary heart disease prevention trials recommended to the National Heart and Lung Institute in 1971 as an alternative to a national single-factor dietary trial, which was judged to be infeasible. - MRFIT carried out in USA was aimed at high risk adult males aged 35-57 years.